'Routine care' in Neonatal resuscitation consists of all of the following steps EXCEPT:
1. Provide warmth to all babies
2. Suction airway of all babies
3. Dry the baby
4. Ongoing evaluation of vital parameters of all babies

Correct answer: 2. Suction airway of all babies

Explanation: Suction airway of all babies- not recommended. 'Routine care' consists of : Provide warmth to all babies Proper positioning of baby Suction airways only if necessary Dry the baby Ongoing evaluation of vital parameters of all babies